Which of the following is an epiphyseal lesion?
1. Chondroblastoma
2. Chondrosarcoma
3. Fibrosarcoma
4. Non ossifying fibroma

Correct answer: 1. Chondroblastoma

Explanation: Ans. is 'a' i.e., Chondroblastoma